Newborn male baby presented with congestive heart failure. On examination enlarged fontanelles, a loud cranial bruit and following radiological finding was noted -the most likely diagnosis is:
1. Sinus pericranii
2. Vein of Galen malformation
3. Arachnoid cyst
4. Dandy walker malformation

Correct answer: 2. Vein of Galen malformation

Explanation: Ans. B Vein of Galen malformationCongenital malformation of median prosencephalic veinQ which shows dilated midline vascular channel in posterior part of cranium. Commonest cause of high output cardiac failure in paediatric age groupQ.